Inferior mesenteric vein drains into vein-
1. Splenic
2. Hepatic
3. Portal
4. Inf. vena cava

Correct answer: 1. Splenic

Explanation: Splenic